Which of the following do not decrease the angiotensin II activity:
1. Enalapril
2. Valsartan
3. Nesiritide
4. Omapatrilat

Correct answer: 3. Nesiritide

Explanation: Ans. C. NesiritideACE inhibitors and ARB decrease the angiotensin II activity. Omapatrilat is Vasopeptidase inhibitor which inhibits both ACE and NEP. Nesiritide is recombinant BNP which has no role on angiotensin II activity.